Which of the following helps in bridging the fibrin in a clot and stabilizes the clot?
1. Factor XIII
2. Factor V
3. Factor VII
4. Factor III

Correct answer: 1. Factor XIII

Explanation: The fibrin is initially a loose mesh of interlacing strands. It is converted by the formation of covalent cross-linkages to a dense, tight aggregate (stabilization). This latter reaction is catalyzed by activated factor XIII and requires Ca2+.Factor V is required for formation of prothrombin activatorFactoVII is required for the activation of factor XFactor III is also required for formation of prothrombin activatorRef: Ganong's Review of Medical Physiology Twenty-Third Edition Page No:532